All of the following can increase appetite except :
1. Agouti Related Protein
2. Neuropeptide Y
3. Melanocyte stimulating hormone
4. Agouti related peptide

Correct answer: 3. Melanocyte stimulating hormone

Explanation: MSH causes loss of appetite and thus agonists to this agent can be used for the treatment of obesity